Arterial supply to SA node is by:
1. Left anterior descending coronary artery
2. Posterior interventricular (descending) artery
3. Left coronary artery
4. Right coronary artery

Correct answer: 4. Right coronary artery

Explanation: The right coronary artery arises from the anterior aortic sinus of the ascending aorta and runs forward between the pulmonary trunk and the right auricle.The artery of the sinuatrial node (branch of right coronary artery) supplies the SA node and the right and left atria; in 40% of individuals it arises from the left coronary artery.